A 32 week pregnant female is brought to the emergency department with sudden onset of painless vaginal bleeding. Ultrasonography shows placenta praevia. What is the expectant method of management in this patient?
1. Brand-Andrews method
2. Crede's method
3. Macafee & Johnson's method
4. Lilley's regimen

Correct answer: 3. Macafee & Johnson's method

Explanation: Expectant management of placenta praevia by Macafee and Johnson method: It is an attempt to improve the fetal salvage without increasing undue maternal hazards. The aim is to continue pregnancy for fetal maturity without compromising the maternal health. Suitable cases: Mother is in good health status, duration of pregnancy is less than 37 weeks, active vaginal bleeding is absent, and fetal well being is assured. Ref: Textbook of Obstetrics by D.C. Dutta, 6th edition, Page 251.